Procedure of choice for control of massive hemoptysis?
1. Balloon catheter tamponade
2. Rigid bronchoscopy and Photocoagulation
3. Bronchial artery embolization
4. Flexible bronchoscopy and cautery

Correct answer: 3. Bronchial artery embolization

Explanation: In massive Hemoptysis - source of bleeding is Bronchial artery So, Bronchial artery embolization is the procedure of choice to control massive hemoptysis.